Ligamentum teres of the liver is remnant of -
1. Umbilical arteries
2. Left umbilical vein
3. Ductus-venosus
4. Ductus arteriosus

Correct answer: 2. Left umbilical vein

Explanation: Ans. is 'b' i.e., Left umbilical vein o Repeat from previous sessions